Testicular cancer is common in -
1. Ectopic testis
2. Undescended abdominal testis
3. Atrophic testis
4. Anteverted testis

Correct answer: 2. Undescended abdominal testis

Explanation: Ans. is 'b' i.e., Undescended abdominal testis